Characteristic infection of nocardia asteroides is?
1. Colonic diverticula
2. Brain abscess
3. Secondary dissemination to liver
4. Diarrhoea

Correct answer: 2. Brain abscess